What should be the internal diameter of the endotracheal tube in a child weighing 1500 gm ?
1. 2 mm
2. 2.5 mm
3. 3 mm
4. 3.5 mm

Correct answer: 3. 3 mm

Explanation: Body weight in grams and internal diameter of ET tube :-
< 1000 gm = 2.5 mm, 1000-2000 gm = 3 mm, 2000-3000 = 3.5 mm, > 3000 = 3.5-4.0 mm.